In trauma, which of the following is increased -
1. Epinephrine
2. ACTH
3. Glucagon
4. All

Correct answer: 4. All

Explanation: Answer is 'a' i.e. Epinephrine; 'b' i.e. ACTH ; 'c' i.e. Glucagon As already mentioned in one of the previous questions, the neuroendocrine response to injury is an important part of the stress response. The release of various hormones, creates an altered metabolic state which helps the individual to survive through the injury or the adverse circumstances. The neuroendocrine response begins with activation of the hypothalamic-pituitary-adrenal axis hypothalmic activation leads to - ADH (or vasopressin) release from the neurohypophysis epinephrine secretion from the adrenal medulla norepinephrine release from sympathetic nerve endings - CRH travels to adenohypophysis, stimualting ACTH production. ACTH acts on adrenal cortex, producing cortisol release (ACTH also stimulates release of aldosterone from the adrenal cortex) About other hormones Insulin - hormones and inflammatory mediators associated with stress response inhibit insulin release. This is required to achieve the hyperglycemic state after injury. Glucagon - increased Aldosterone - increased Thyroid hormones : Thyroxine-no change; T3 - decreased rT3 - increased Sex hormones - decreased